Tardieu spots are a feature of which of the following forms of death?
1. Cyanide poisoning
2. Mechanical asphyxia
3. Cobra bite
4. Organophosphate poisoning

Correct answer: 2. Mechanical asphyxia

Explanation: Tardieu spots or petechial haemorrhages are pinhead size bleeding spots occurring as a result of rupture of venules and are most commonly seen in sclera, conjunctiva or on serous membranes. It is seen in case of mechanical asphyxia. Ref: Textbook of Forensic Medicine and Toxicology By V.V Pillay, 15th Edition, Page 275